A chronic smoker with history of hoarseness was found
on examination to have keratosis of the larynx. All of the
following are possible treatment modalities except:
1. Laser vaporizer
2. Stop smoking
3. Stripping of the vocal cord
4. Partial laryngectomy

Correct answer: 4. Partial laryngectomy